13, years old boy, the LEAST common cause of proximal lytic lesion of the head of the femur is -
1. Plasmacytoma
2. Metastasis
3. Histiocytosis
4. Bone tumour

Correct answer: 1. Plasmacytoma

Explanation: If multiple myeloma occurs as a solitary lesion it is known as Plasmacytoma
Age gp is 6th-7th decade, Rare before 40yrs of age
So the lytic lesion in a 13 yrs old boy cannot be a plasmacytoma